Severe acute malnutrition, arm circumference is less than (in cm) ?
1. 12.5
2. 13.5
3. 12
4. 11.5

Correct answer: 4. 11.5

Explanation: Ans. is 'd' i.e., 11.5 Weight-for-height -3 Z-score, or Mid-upper-arccccfm circumference <115 mm, or Presence of bilateral oedema